A 40 years old male develops excessive hyperventilation. ABG reveals pH - 7.5, PCO224 mm Hg, PO2 88 mm of Hg. True statment is
1. Respiratory alkalosis
2. Metabolic alkalosis
3. Respiratory acidosis
4. Metabolic acidosis

Correct answer: 1. Respiratory alkalosis

Explanation: Ans. is 'a' Respiratory alkalosis. This one is quite simple.pH is increased and pCO2 is decreased which indicates respiratory alkalosis